Teeth that are most resistant to nursing bottle caries
1. Maxillary anteriors
2. Maxillary molars
3. Mandibular anteriors
4. Mandibular molars

Correct answer: 3. Mandibular anteriors